Genetic information transferred by phage is called -
1. Transformation
2. Lysogenic conversion
3. Transduction
4. Transcription

Correct answer: 3. Transduction

Explanation: Ans. is 'c' i.e., Transduction TransformationTransductionConjugationLysogenic conversiono This is the transfer of genetic material through the agency of free DNA (May involve taking up of soluble DNA with host DNA and codes new species through the cell wall)o Tliis has been studied mainly in:BPHBacillusHaemophilusPneumococcuso Transfer of a portion of DNA from one bacterium to the other by means of a bacteriophageo Transfer of genetic elements after actual physical contact between a 'male' donor bacterium and female recipient e.g. transfer of episomes and plasmids such as those for resistanceo In lysogenic conversion the phage DNA itself is the new genetic element as it becomes integrated with the bacterial host DNA with which it multiplies and is transferred to daughter cells, e.g. diptheriae corynebacterium